CHF leads to?
1. Hypervolemic hyponatremia with UNa < 20
2. Hypovolemic hyponatremia with UNa < 20
3. Euvolemic hyponatremia with UNa < 20
4. None of the above

Correct answer: 1. Hypervolemic hyponatremia with UNa < 20

Explanation: CHF - |CO -|GFR | activate RAAS | | Aldosterone - TBW||, Salt| - Hypervolemic Hyponatremia Hypovolemic hyponatremia - Diarrhoea Euvolemic hypnonatremia Hypothyroidism, Glucocorticoid deficiency SIADH